Hippocampal formation includes all except -
1. Dentate gyrus
2. Subicular complex
3. Amygdaloid nucleus
4. Entorhinal cortex

Correct answer: 3. Amygdaloid nucleus

Explanation: Hippocampal formation comprising indusium griseum and longitudinal striae, gyms fasciolaris, dentate gyros, hippocampus, parahippocampal gyms, subicular complex, entorhinal cortex, alveus, fimbria and fornix.